TSS (Toxic Shock Syndrome) is caused mainly by:
1. Streptococci
2. Staphylococci
3. Pneumococci
4. Pseudomonas

Correct answer: 2. Staphylococci

Explanation: Staphylococci